Which of the following binds to viral envelope glycoprotein preventing the conformational changes required for the fusion of viral and Cellular membranes
1. Avacavir
2. Indunavir
3. Enfuvirtide
4. Osltamivir

Correct answer: 3. Enfuvirtide

Explanation: Ref-KDT 6/e p774 It is a fusion inhibitor useful in the treatment of HIV infection